Which is not having underlying malignancy?
1. Paget disease of bone
2. Paget disease of nipple
3. Paget disease of vulva
4. Paget disease of anal region

Correct answer: 1. Paget disease of bone

Explanation: Paget's disease of bone (commonly known as Paget's disease or historically, osteitis deformans) is a condition involving cellular remodeling and deformity of one or more bones. The affected bones show signs of dysregulated bone remodeling at the microscopic level, specifically excessive bone breakdown and subsequent disorganized new bone formation.These structural changes cause the bone to weaken, which may result in deformity, pain, fracture, or arthritis of associated joints. The disease is progressive and slowly worsens with time, although people may remain minimally symptomatic. Treatment is aimed at controlling symptoms, but there is no cure. Any bone or bones can be affected, but Paget's disease occurs most frequently in the spine, skull, pelvis, femur, and lower legs. Osteogenic sarcoma, a form of bone cancer, is a rare complication of Paget's disease occurring in less than one percent of those affected. The development of osteosarcoma may be suggested by the sudden onset or worsening pain. Ref : Paget's Disease of Bone Overview NIH osteoporosis and related bone disorders National Resource Centre